Protein-specific for smooth muscle contraction is
1. Troponin
2. Tropomyosin
3. Myosin
4. Calmodulin

Correct answer: 4. Calmodulin

Explanation: Calmodulin is the calcium binding protein in the smooth muscle. It is similar to troponin C of Skeletal muscle.(REF: TEXTBOOK OF MEDICAL PHYSIOLOGY GEETHA N 2 EDITION, PAGE NO - 59)